In children fracture scaphoid is through rare but usually involves:
1. Waist
2. Proximal pole
3. Neck
4. Distal pole

Correct answer: 4. Distal pole

Explanation: D i.e. Distal pole